Carbon monoxide poisoning is a type of
1. Anemic hypoxia
2. Histotbxie hypoxia
3. Hypoxic hypoxia
4. Stagnant hypoxia

Correct answer: 1. Anemic hypoxia

Explanation: CO poisoning is often listed as a form of anemic hypoxia because the amount of hemoglobin that can carry O2 is reduced, but the total hemoglobin content of the blood is unaffected by CO. The affinity of hemoglobin for CO is 210 times its affinity for O2, and COHb liberates CO very slowly. Ref: Ganong's Review of medical physiology 25th edition. Page: 651